For a neonate with Threshold Retinopathy of prematurity, most appropriate Rx would be
1. Photocoagulation
2. Less O2 flow
3. Surgery
4. Antioxidants

Correct answer: 1. Photocoagulation